All are composite muscles except
1. Pectineus
2. Flexor carpi ulnaris
3. Biceps femoris
4. Flexor digitorum profundus

Correct answer: 2. Flexor carpi ulnaris

Explanation: Flexor carpi ulnaris is supplied by a single nerve and is not a composite/hybrid muscle Composite /hybrid muscle have more than one set of fibers and are supplied usually by different nerves for different set of fibers Pectineus has anterior set of fibers supplied usually by femoral nerve, whereas, posterior set of fibers may be supplied by the obturator nerve Long head of biceps femoris is supplied by the tibial part of sciatic nerve and the short head is supplied by the common peroneal nerve. This reflects the composite derivation from the flexor and extensor musculature. Radial half of flexor digitorumprofundus is supplied by the median nerve and the ulnar half is supplied by the ulnar nerve Ref: Gray's39e/p185-210